Number connection test is used in
1. Alzheimer's disease
2. Parkinson's disease
3. Hepatic encephalopathy
4. Global aphasia

Correct answer: 3. Hepatic encephalopathy

Explanation: Number connection test or constructional apraxia are a clinical features of hepatic encephalopathy.